Staphlymoa involvement:
1. Iris with conjunctiva
2. Conjunctiva with cornea
3. Choroid with retina
4. Iris with cornea

Correct answer: 4. Iris with cornea

Explanation: Ans. Iris with cornea